Shedding of red tears seen in
1. Alcohol poisoning
2. Phosphorus poisoning
3. OP poisoning
4. Lead poisoning

Correct answer: 3. OP poisoning

Explanation: OP poisoning Pupils will be usually constricted and will be pin point. In the eye, the ciliary muscles are constricted. So the suspensory ligaments are relaxed and the lens will bulge to the anterior chamber. So there will be blurring of vision. There may be lacrimation and in severe cases, chromo-lachryorrhoea (shedding of red tears) This is due to accumulation of porphyrin in the lacrimal glands due to inhibition of porphyrin metabolism, one of the minor actions of some organophosphates especially marathon. Ref: FORENSIC MEDICINE AND TOXICOLOGY Dr PC IGNATIUS THIRD EDITION PAGE 448